Peripheral neuropathy is caused by all except ?
1. Isoniazid
2. Digitalis
3. Amiodarone
4. Thalidomide

Correct answer: 2. Digitalis

Explanation: Ans. is 'b' i.e., Digitalis Peripheral neuropathy is a side effect of following drugs: Antitubercular : Isoniazid, Streptomycin, Ethambutol, Ethionamide. Antileprotic : Dapsone ART : Didanosine, Stavudine, Zalcitabine Antiarrthymic : Amiodarone Mscellaneous : Disulfiram Antibiotics: Nitrofurantoin, Metronidazole Anticancer drugs: Cisplatin, Oxaliplatin, Cytarabine, Vincristine, Paclitaxel, Docetaxel, Thalidomide (peripheral sensory neuropathy).